Bastio surgery for refractory LV hypertrophy is:
1. Patch repair
2. MR repair
3. Ventriculectomy
4. Ventriculoplasty

Correct answer: 3. Ventriculectomy

Explanation: Bentall's Operation For aortic root aneurysm repair Reimplantation of coronary ostia into composite graft Bastio surgery For Left Ventricular hypertrophy Ventriculectomy is done Ref: Bailey 27th edition Pgno: 936